Which of the following is best type of inquest at the international level?
1. Coroner's inquest
2. Police inquest
3. Medical examiner's inquest
4. Magistrates inquest

Correct answer: 3. Medical examiner's inquest

Explanation: Medical examiner's inquest is prevalent in most of the states of USA.it is considered to be superior to all other types of inquest, because it is conducted by a forensic pathologist with medical, scientific,& legal knowledge.police& magistrates inquest common in India. Coroner's inquest was common in Mumbai and Kolkata now it is not followed. REF: The Synopsis of Forensic Medicine and Toxicology 29th edition page no: 3.